The mechanism of action of cyclosporine is:
1. Inhibits IL-2 receptors
2. Inhibits TNF alpha
3. Decrease in transcription of IL-2 gene
4. Targets inactivated T cells

Correct answer: 3. Decrease in transcription of IL-2 gene

Explanation: Cyclosporine calcineurin inhibitor inhibits the dephosphorylation of NFAT leading to blocked of T cell activation by preventing IL2 Transcription. Tacrolimus (FK506):- is also calcineurin inhibitor which binds FK506 binding protein. IL2 receptor are blocked by Basiliximab, Daclizumab. TNF alphaBlocker :- Infliximab